Gelle's test is done in
1. Otosclerosis
2. Serous otitis media
3. Traumatic deafness
4. Senile deafness

Correct answer: 1. Otosclerosis

Explanation: Gelle's test: It is also a test of bone conduction and examines the effect of increased air pressure in ear canal on the hearing. Normally, when air pressure is increased in the ear canal by Siegel's speculum, it pushes the tympanic membrane and ossicles inwards, raises the intralabyrinthine pressure and causes immobility of basilar membrane and decreased hearing, but no change in hearing is observed when ossicular chain is fixed or disconnected. Gelle's test is performed by placing a vibrating fork on the mastoid while changes in air pressure in the ear canal are brought about by Siegel's speculum. Gelle's test is positive in nor- mal persons and in those with sensorineural hearing loss. It is negative when ossicular chain is fixed or disconnected. It was a popular test to find out stapes fixation in otosclerosis but has now been superceded by tympanometry. Ref:- Dhingra; pg num:- 22,23